All of the following belong to the steroid receptor super family except
1. Vitamin D3 receptor
2. Thyroid receptor
3. Retinoid receptor
4. Epinephrine receptors

Correct answer: 4. Epinephrine receptors

Explanation: Refer KDT 6/e p 232 Steroid receptor super family contain the receptors, which act by influencing nuclear changes These receptors may be present in the cytoplasm of in the nulcues